Dyspnoea at rest is which grade:
1. 1
2. 2
3. 3
4. 4

Correct answer: 4. 4

Explanation: Ans. D: 4 New york heart association score (NYHA) There are four functional grades of Dyspnea as follows:- Grade I (minimal Dyspnea): Dyspnea on running or on doing more than ordinary effort . Grade II : on doing ordinary effort. Grade III (considerable Dyspnea) : on doing less than ordinary effort . Grade IV : Dyspnea at rest. *Ordinary effort is that of the person himself as regard his previous effort tolerance and usual life style.